Anaesthetic of choice for day care srgery is?
1. Thiopentone
2. Nitrous oxide
3. Propofol
4. Halothane

Correct answer: 3. Propofol

Explanation: Ans. is 'c' i.e., Propofol